Type II hypersensitivity -
1. Blood transfusion reaction
2. Arthus reaction
3. Hay Fever
4. Glomerulonephritis

Correct answer: 1. Blood transfusion reaction

Explanation: autoimmune haemolytic anaemia, transfusion reactions,idiopathic thrombocytopenic purpura,graves disease,myasthenia gravis are the examples of type 2 hypersensitivity.Harshmohan textbook of pathology 7th edition